Most common Enzyme Deficiency leading to childhood hypertension is
1. 17- Alpha hydroxylase
2. 21- Beta hydroxylase
3. 11- Beta hydroxylase
4. 3- Beta hydroxy steroid dehydrogenase

Correct answer: 3. 11- Beta hydroxylase

Explanation: Most common enzyme deficiency causing hypertension in pediatric child group is APPARENTMINERALOCORTICOID EXCESS. Apparent mineralocorticoid excess (AME) is an autosomal recessive disorder caused by deficiency of 11 beta hydroxysteroid dehydrogenase 2 (11-beta HSD 2) enzyme which is encoded by a gene in chromosome 16q22. Congenital adrenal hyperplasia due to 11b-hydroxylase deficiency is a form of congenital adrenal hyperplasia (CAH) which produces a higher than normal amount of androgen,resulting from a defect in the gene encoding the enzyme steroid 11b-hydroxylase (11b-OH) which mediates the final step of cortisol synthesis in the adrenal. 11b-OH CAH results in hypertension due to excessive mineralocorticoid effects. It also causes excessive androgen production both before and after birth and can virilize a genetically female fetus or a child of either sex. Reference: GHAI Essential pediatrics, 8th edition